Which of the following is primary glaucoma –a) Juvenile glaucomab) Steroid induced glaucomac) Pigmentary glaucomad) Congenital glaucomae) Infantile glaucoma
1. ade
2. bde
3. abd
4. ad

Correct answer: 1. ade

Explanation: Primary glaucomas are :

i)  Congenital / developmental :- True congenital glaucoma, infantile glaucoma, juvenile glaucoma.
ii)  Adult :- Primary open angle glaucoma, primary angle closure glaucoma, primary mixed mechanism glaucoma.

Pigmentary glaucoma and steroid induced glaucoma are secondary glaucomas.